Males who are sexually underdeveloped with rudimentary testes and prostate glands, sparse pubic and facial hairs, long arms and legs and large hands and feet are likely to have the chromosome complement:
1. 45XXY
2. 46XY
3. 47XXY
4. 46X

Correct answer: 3. 47XXY

Explanation: c. 47 XXY(Ref: Nelson's 20/e p 618-619)This is clearly a case of Klinefelter syndrome:The male has a normal external genitalia but there is microorchidism and decreased testosterone level.The male in Kleinfelter syndrome is tall with long arms and legs.